In patients who underwent appendicectomy there is less chances for the following
1. Ulcerative colitis
2. Chron's disease
3. Both
4. None

Correct answer: 1. Ulcerative colitis

Explanation: (A) Ulcerative colitis# Appendectomy for an inflammatory condition (appendicitis or lymphadenitis) but not for nonspecific abdominal pain is associated with a low risk of subsequent ulcerative colitis. This inverse relation is limited to patients who undergo surgery before the age of 20 years.> A significant risk of Crohn's Disease following an appendectomy, though heterogeneity was observed between the studies. The elevated risk early after an appendectomy, which diminishes thereafter, likely reflects diagnostic problems in patients with incipient CD."